The most frequent direction in which the articular disc gets displaced is
1. Anterior and lateral direction
2. Posterior and lateral direction
3. Anterior and medial direction
4. Posterior and medial direction

Correct answer: 3. Anterior and medial direction